"Double PCL" sign on MRI knee is seen in
1. Lateral meniscus tear
2. Medial meniscus tear
3. PCL tear
4. ACL tear

Correct answer: 2. Medial meniscus tear

Explanation: The double PCL signal appears on sagittal MRI images of the knee when a bucket handle tear of medial meniscus flips so that comes to lie anteroinferior to the posterior cruciate ligament (PCL) mimicking a second smaller PCL. Identifying a double PCL sign is highly specific for the detection of displaced bucket-handle tears. Ref: Internet sources src=" alt="" width="200" height="142" />